Phase IV of clinical trials collect information specially about:
1. Drug efficacy
2. Drug potency
3. Drug toxicity
4. Pharmacokinetics of the drug

Correct answer: 3. Drug toxicity